Antiendomysial antibody is used in screening of -
1. Myasthenia gravis
2. Autoimmune hepatitis
3. Coeliac diseases
4. Graves disease

Correct answer: 3. Coeliac diseases

Explanation: Am. is 'c' i.e., Coeliae diseases o Coeliae disea.se (CD) is a permanent intolerance of the small intestine to gluten, characterized by gluten-dependent changes in villous morphology and/or signs of immunological activation detectable in the lamina propria of the intestinal mucosa.o The presence of serum anti-endomysial antibodies (EMA) is generally considered to be highly suggestive for a CD because of their high values of sensitivity and specificity.o Other antibodies used for diagnosiso Tissue transglutaminase.o Antigliadin antibodies.o Treatment is Gluten-free diet.